A 72-year-old patient vomited and then aspirated some of the vomitus while under anesthesia. On bronchoscopic examination, partially digested food is observed blocking the origin of the right superior lobar bronchus. Which of the following groups of bronchopulmonary segments will be affected by this obstruction?
1. Superior, medial, lateral, medial basal
2. Apical, anterior, posterior
3. Posterior, anterior, superior, lateral
4. Apical, lateral, medial, lateral basal

Correct answer: 2. Apical, anterior, posterior

Explanation: The superior lobar bronchus is one of the divisions of the right main bronchus. This bronchus branches into apical, anterior, and posterior tertiary bronchi. LOBE- Right upper lobe SEGMENTS: Apical segment Anterior segment Posterior segment